Single most impoant prognostic indicator of colorectal carcinoma is -
1. CEA titres
2. Degree of atypia
3. Size of tumor
4. Extent of tumour

Correct answer: 4. Extent of tumour

Explanation: Ans. is 'd' i.e., Extent of tumorThe single most impoant prognostic indicator of colorectal carcinoma is the extent of the tumor at the time of diagnosis, the so-called stage.